The blockage of blood flow in the proximal part of the anterior interventricular artery could deprive a large area of heart tissue of blood supply, unless a substantial retrograde flow into this artery develops an important anastomosis with which other artery?
1. Circumflex
2. Left marginal
3. Posterior interventricular
4. Right coronary

Correct answer: 3. Posterior interventricular

Explanation: The anterior interventricular artery and posterior interventricular artery travel on the anterior and posterior surfaces of the interventricular groove. These two vessels often anastamose. If there was a very extensive anastomoses between the anterior and posterior interventricular arteries, it is possible that the posterior interventricular artery might supply the tissue usually fed by the anterior interventricular artery. The other arteries listed would not be able to anastamose with anterior interventricular artery; they supply other areas of the heart. Ref: Seward J.B., Malouf J.F., Edwards W.D., Tajik A. (2011). Chapter 4. Functional Anatomy of the Heart. In V. Fuster, R.A. Walsh, R.A. Harrington (Eds), Hurst's The Heart, 13e.